5 year old child presented with high grade fever and features of sepsis. On examination BP - 90 / 60 mmHg, Pulse rate - 146 beats / min. What is the initial fluid of choice
1. 10 mL / kg of 0.45% normal saline
2. 10 mL / kg of 10% dextrose
3. 20 mL / kg of 0.45% normal saline
4. 20 mL / kg of 0.9% normal saline

Correct answer: 4. 20 mL / kg of 0.9% normal saline